A 25 years old male smoker presents with high grade fever with chills and severe right sided pleuritic chest pain and cough with expectoration physical examination of the patient is likely to show
1. Increased percussion sounds
2. Decreased vocal fremitus
3. Bronchial breath sounds
4. Decreased vocal resonance

Correct answer: 3. Bronchial breath sounds

Explanation: This is the case of pneumonia shows signs of consolidation lung :

Reduced thoracic movements.
Increased vocal fremitus and vocal resonance.
Dull note on percussion.
Bronchial breath sounds.